The classification proposed by the International Lymphoma Study Group for non-Hodgkin's lymphoma is known as:
1. Kiel classification
2. REAL classification
3. WHO classification
4. Rappaport classification

Correct answer: 2. REAL classification

Explanation: Answer is B (REAL Classification) In 1994, a group of hematopathologists, oncologists and molecular biologists came together (International Lymphoma Study Group) and introduced a new classification, called the 'Revised European-American Classification of Lymphoid Neoplasms (REAL). WHO has now reviewed and updated the real classification resulting in inclusion of additional rare entities. WHO Classification / Modified 'REAL' Classification I. Precursor B-cell Neoplasm Precursor-B lymphoblastic leukemia/lymphoma II. Peripheral B-Cell Neoplasms Chronic lymphocytic leukemia/small lymphocytic lymphoma B-cell prolymphocytic leukemia Lymphoplasmacytic lymphoma Splenic and nodal marginal zone lymphomas Extranodal marginal zone lymphomas Mantle cell lymphoma Follicular lymphoma Marginal zone lymphoma Hairy cell leukemia Plasmacytoma/plasma cell myeloma Diffuse large B-cell lymphoma Burkitt lymphoma III. Precursor T-Cell Neoplasms Precursor-T lymphoblastic leukemia/lymphoma iv Peripheral T-Cell and NK-Cell Neoplasms T-cell prolymphocytic leukemia Large granular lymphocytic leukemia Mycosis fungoides/Sezary syndrome Peripheral large cell lymphoma, unspecified Anaplastic large cell lymphoma Enteropathy-associated T-cell lymphoma Hepatosplenic y8 T-cell lymphoma Adult T-cell leukemia/lymphoma NK/T-cell lymphoma, nasal type NK cell leukemia V. Hodgkins LF mphoma - Classical subtypes - Nodular sclerosis - Mixed cellularity - Lymphocyte-rich - Lymphocyte depletion Lymphocyte predominance